Which of the following law is used for calculating osmotic pressure?
1. Bernoulli's law
2. Ohm's law
3. Van't Hoff law
4. Poiseuille's law

Correct answer: 3. Van't Hoff law

Explanation: Van't Hoff law is used for calculating osmotic pressure of a solution. Osmotic pressure of a solution depends upon the number of particles in the solution. According to Van't Hoff law: Osmotic pressure: iCRT R = Gas constant T = Absolute temperature i = Number of ions C = Molar concentration Ref: Biophysics By P.S Mishra, page 108